Pain is appreciated when the small bowel is
1. Burned
2. crushed
3. Cut
4. distended

Correct answer: 4. distended

Explanation: The gut is insensitive to common painful stimuli Distention of the small bowel produces a feeling of paraumbilical discomfort